Triangle of doom is associated with
1. Laparoscopic Nissen's Fundoplication
2. Laparoscopic hernia surgery
3. Endoscopic thyroidectomy
4. Thoracoscopic thymectomy

Correct answer: 2. Laparoscopic hernia surgery

Explanation: Ans. (b) Laparoscopic hernia surgeryRef Palanivel Laparosopic Surgery* The following triangles are related to Laparoscopic hernia repair:# Triangle of Doom# Triangle of Pain